A patient presented with normal eyesight and absence of direct and consensual light reflexes in left eye. Which of the following cranial nerves is suspected to be lesioned?
1. Occulomotor
2. Trochlear
3. Optic
4. Abducent

Correct answer: 1. Occulomotor

Explanation: Ans. (a) OculomotorRef: Kanski 7/e, p. 815In complete optic nerve lesion of one side (afferent pupillary defect)The ipsilateral direct reflex is absentThe contralateral consensual reflex is absentIn oculomotor nerve lesion of one side (efferent pupillary defect)The ipsilateral direct reflex is absentThe ipsilateral consensual reflex is absent